Which of the following helps in wound healing?
1. Keratan sulfate
2. Dermatan sulfate
3. Hyaluronic acid
4. Chondroitin sulfate

Correct answer: 3. Hyaluronic acid

Explanation: option c - Hyaluronic acid helps in wound healing Hyaluronic Acid Longest GAG Present in Extracellular Matrix (ECM) Present in both bacteria and animals No Sulfate Role in Cell Migration during Morphogenesis Role in Wound Healing